Therapeutic index is an assessment of:
1. Potency of a drug
2. Onset of action
3. Duration of action
4. Margin of safety

Correct answer: 4. Margin of safety